Which one of the following describes the flavouring substance asafoetida (Hing) ?
1. Dried leaf extract
2. Exudate from chopped roots
3. Pith of stem boiled and dried
4. Dried and hardened paste of fruit

Correct answer: 2. Exudate from chopped roots